Sher's classification is done in cases of:
1. Uterine prolapse
2. Puerperal sepsis
3. Abruption
4. Placenta praevia

Correct answer: 3. Abruption

Explanation: Ans: C (Abruption) Ref: Practiced guide to high risk pregnancy Delivery: Fernando Arias 3rd ed. Pg 344.Explanation:Sher's Classification is for Abruptio PlacentaGrade I* Mild Retro-Placental Clot of Vol. < 150 mlGrade II* Classical features of abruption are present.* Fetus is alive.* Most of them have abnormal FHR pattern.* Perinatal mortality is high.* Retro-Placental Clot - 150-500 mlGrade III* Features of Gr IE with fetal demise* A - Presence of coagulopathy* B - Absence of coagulopathy